Plaster mix:
1. Rapid spatulation results in decreased setting time
2. 2% potassium sulphate is accelerator
3. Citrates are retarders
4. All of the above

Correct answer: 4. All of the above